In cases of swelling in testes, investigation of choice:
1. FNAC
2. CT
3. USG
4. MRI

Correct answer: 3. USG

Explanation: Ans. (c) USGRef: Campbell Urology 11th Edition, Page 790* Scrotal USG is IOC for testicular pathology. With high frequency transducers (5 to 10 MHz) intra testicular lesions can be identified and readily distinguished from extra testicular pathology.